Fish is deficient in which of the following nutrients:
1. Iodine
2. Vitamin A
3. Iron
4. Phosphorus

Correct answer: 3. Iron

Explanation: Iron Repeat from May 11